Drug ezetimibe act by?
1. Enhancing excretion of bile acids
2. Decreasing absorption of cholesterol
3. Inhibiting HMG-CoA
4. Inhibiting intracellular lipase

Correct answer: 2. Decreasing absorption of cholesterol

Explanation: Ezetimibe acts by inhibiting the intestinal absorption of cholesterol and phytosterols. It interferes with a specific CH transport protein NPC1C1 in the intestinal mucosa and reduces the absorption of both dietary and biliary CH. (REF. ESSENTIALS OF MEDICAL PHARMACOLOGY K.D TRIPATHI-6th edition.Page No-618)